Which of the following enzymes contain manganese as its cofactor?
1. LDH
2. Arginase
3. Hexokinase
4. DNA polymerase

Correct answer: 2. Arginase

Explanation: Manganese: Cofactor for enzymes, e.g., arginase, pyruvate carboxylase.
Enzymes that require a metal ion cofactor are termed metal-activated enzymes to distinguish them from the metalloenzymes for which bound metal ions serve as prosthetic groups.
Reference-Satyanarayana Pg- 405